Nail involvement is not a feature of –
1. Psoriasis
2. Lichen planus
3. Dermatophytosis
4. DLE

Correct answer: 4. DLE